The only intact eye movement in one and a half syndrome is
1. Abduction of Ipsilateral eye
2. Abduction of contralateral eye
3. Adduction of Ipsilateral eye
4. Adduction of contralateral eye

Correct answer: 2. Abduction of contralateral eye

Explanation: One-and-a-half syndrome is due to a lesion of MLF combined with PPRF of same side. Loss of all horizontal movements except contralateral abduction, which shows abduction nystagmus. One and One half syndrome (right sided lesion) Eight and half syndrome consists of one and half syndrome with 7th nerve palsy.